True statements regarding halothane are all of the following except:-
1. Unsuitable for pediatric population
2. Potentiates competitive neuromuscular blockers
3. Hepatitis may occur
4. Contraindicated in patients with cardiac arrhythmia

Correct answer: 1. Unsuitable for pediatric population

Explanation: Halothane It is a good anaesthetic but very poor analgesic agent. It can cause hepatitis on repeated use. It can also result in malignant hyperthermia, which can be treated with dantrolene. It can result in post-anaesthetic chills and shivering. Pethidine is used for treatment of this condition. Halothane relaxes the uterus. Due to this property, it is the agent of choice in internal version and manual removal of placenta (version can be accomplished easily in a relaxed uterus). However due to its uterine relaxing property, it is contraindicated in labour, because if post-partum hemorrhage results, it will be difficult to control (contraction of uterus stops bleeding after labour). It sensitizes heart to the arrhythmogenic action of catecholamines. It is therefore contraindicated in patients with pheochromocytoma. It is also a cardiodepressant drug that causes hypotension, bradycardia and arrhythmias. It is the inhalational agent of choice in bronchial asthma due to its bronchodilator action. It is an excellent agent for induction in children.